Laundosine is a toxic metabolite of ?
1. Atracurium
2. Pancuronium
3. Mivacurium
4. Vecuronium

Correct answer: 1. Atracurium

Explanation: Ans. is 'a' i.e., Atracurium Atracurium The unique feature of atracurium is inactivation in plasma by spontaneous nonenzymatic degradation (Hofmann elimination) in addition to that by alkaline ester hydrolysis. Consequently its duration of action is not altered in patients with hepatic / renal insufficiency or hypodynamic circulation -Preferred muscle relaxant for such patients as well as for neonates and the elderly. Atracurium is metabolised to laudanosine that is responsible for seizures. It can cause histamine release - Hypotension & bronchoconstriction